Which of the following statements about Mycophenolate Mofetil is not true:
1. Most common adverse effect is Nephrotoxicity
2. Used in Transplant Rejection
3. It is a prodrug and converted to Mycophenolic acid
4. Is not used with Azathioprine

Correct answer: 1. Most common adverse effect is Nephrotoxicity

Explanation: Most prominent adverse effect associated with mycophenolate mofetil are vomiting, diarrhea and leucopenia. Nephrotoxicity is not associated with its use. Ref: Essentials of Medical Pharmacology By KD Tripathi, 5th Edition, Page 789; KDT 6th Edition, Page 841; Goodman And Gillman's Manual of Pharmacology, 2007, Page 916.